Duct of Bartholins gland opens
1. On outer side of Labium minus
2. On inner side of Labium majus
3. On outer side of Labium majus
4. On inner side of Labium minus

Correct answer: 4. On inner side of Labium minus

Explanation: Duct of Bartholins gland opens on the inner side of Labium minus external of hymen.